Weakest support of uterus is?
1. Mackenrodt's ligament
2. Uterosacral ligament
3. Round ligament
4. Broad ligament

Correct answer: 4. Broad ligament

Explanation: ANSWER: (D) Broad ligamentREF: Grays anatomy 39th ed p. 1332,1333Repeat from December 2010SUPPORTS OF UTERUS:The uterus is primarily supported byPelvic diaphragmPerineal body* Urogenital diaphragmSecondarily, it is supported by ligaments and the peritoneum (broad ligament of uterus)Major ligamentsNameFromToUterosacral ligamentPosterior cervixAnterior face of sacrumCardinal ligaments (or Mackenrodt's ligament/ lateral cervical ligament/ transverse cervical ligament)Side of the cervixIschial spinesPubocervical ligamentSide of the cervixPubic symphysisNote:Peritoneum forms the weakest support of the uterusThe suspensory ligament of the ovary, also lnfundihulopelvic ligament is a fold of peritoneum that extends out from the ovary to the wall of the pelvis. Some sources consider it a part of the broad ligament of uterus